A child present with albinism. He should be evaluated for?
1. ENT consultation
2. Eye consultation
3. Electrocardiography
4. Neurological

Correct answer: 2. Eye consultation

Explanation: A child with albinism should undergo eye consultation. Albinism is due to deficiency of melanin,the main pigment of skin and eye. Ocular manifestations of albinism include hypo pigmentation,including foveal hypoplasia with reduced visual acuity,refractive errors ,nystagmus,alternating strabismus,red reflex,and abnormality in routing of optic fibers at chiasma. So regular ophthalmologic follow up is recommended. Reference : Nelsons text book of pediatrics 19th edition,page 424